Mucositis heals after ___ months of radiotherapy:
1. 2 Months
2. 3 Months
3. 5 Months
4. 6 Months

Correct answer: 1. 2 Months

Explanation: Mucositis – Develops after “2 weeks” of radiation therapy

Healing completed after “2 months” of therapy.
Later the oral mucous membrane becomes Atrophic.